Sorghum contains excess of –
1. Lycine
2. Arginine
3. Leucine
4. Histidine

Correct answer: 3. Leucine